Emysema aquosum is found in -
1. Dry drowning
2. Wet drowning
3. Immersion syndrome
4. Secondary drowning

Correct answer: 2. Wet drowning

Explanation: Reff: The synopsis of forensic medicine & Toxicology 28th edition pg: 193 Lungs are voluminous, completely covering the pericardial sac and bulge out of the chest when the sternum is removed. Passive collapse, which usually occurs in death, does not occur due to the fact that edema fluid blocks the bronchi. Due to distension rib impression on surface of lungs is seen and when they are removed and kept on a table they don't collapse.On cut section they may appear dry, but large amount of water, sometimes foamy, ooze from the surface on squeezing. This has been described as emphysema aquosum. It occurs when water is inhaled into the lungs i.e. in wet drowning.